Avascular necrosis can be a possible sequelae of fracture of all of the following bones, except:
1. Femur neck
2. Scaphoid
3. Talus
4. Calcaneum

Correct answer: 4. Calcaneum

Explanation: Ans. (d) Calcaneum:Ref: Maheshwari 5th ed. / 50, 2nd 141; Adams 9th/62Common sites of avascular necrosisHead of femurFracture neck femur Posterior dislocation of hipProximal pole of scaphoidFracture through waist of scaphoidBody of Talus LunateFracture through neck of talus Dislocation